Which of the following is not associated with burns?
1. Cushing’s ulcer
2. Fluid loss
3. Fever
4. All of the above

Correct answer: 1. Cushing’s ulcer

Explanation: Cushing’s ulcer is associated with head injury. Curling ulcer is associated with burns.